Enterohepatic circulation is necessary for the secretion of
1. Bile
2. Internal Juice
3. Pancreatic Juice
4. Gastric Juice

Correct answer: 1. Bile

Explanation: Bile is made up of the bile acids, bile pigments, and other substances dissolved in an alkaline electrolyte solution that resembles pancreatic juice. About 500 mL is secreted per day. Some of the components of the bile are reabsorbed in the intestine and then excreted again by the liver (enterohepatic circulation). In addition to its role in digestion and absorption of fats (Chapter 27), bile (and subsequently the feces) is the major excretory route for lipid-soluble waste products.Ref: Ganong's review of medical physiology 23rd edition Page no: 482